The absence of intestinal motility in the normal small intestine is best described as
1. A migrating motor complex
2. An interdigeti ve state
3. Segmentation
4. Physiological ileus

Correct answer: 4. Physiological ileus